Stage of P. falciparum not seen in peripheral blood-
1. Schizont
2. Gametocyte
3. Ring form
4. Double ring

Correct answer: 1. Schizont

Explanation: Ans. is 'a' i.e., Schizont * In peripheral smear of falciparum malaria following forms are seen -# Early ring form# Gametocytes* Mature trophozoites and schizoint are not found in peripheral blood because schizogony occurs inside the capillary of internal organs (spleen, liver and bone marrow).